The outcome following resuscitation of a cardiac arrest is worsened if during resuscitation patient is given -
1. Ringer's lactate
2. Colloids
3. 5% Dextrose
4. Whole blood transfusion

Correct answer: 3. 5% Dextrose

Explanation: Ans. is 'c' i.e., 5% Dextrose While performing cardiopulmonary resuscitation for cardias arrest, therapy with hyperglycemic intravenous fluid should be avoided.Therapy with intravenous glucose solutions results in worse neurological outcome.Increase in blood and thus brain glucose during global cerebral ischemia will profoundly affect outcome of the patient.In high risk patients, intravenous glucose solutions should be avoided or used judiciously and blood glucose concentrations should be maintained within the normoglycemic range until the patients have passed the period of high risk for hemodynamic compromise.Most critically ill patients do not need acute glucose supplementations.In patients who require glucose, however we recommend administering it in a manner (e.g. mini drip devices, infusion pumps) that will avoid large infusions at the time of an ischemic event.Specifically, glucose containing solutions should not be used in intravenous lines that will facilitate volume expansion and drug administrations during t/t of shock or cardiac arrest.